Complications of prematurity are all except
1. Intra - ventricular hemorrhage
2. Necrotising enterocolitis
3. Retinitis Pigmentosa
4. Periventricular leukomalacia

Correct answer: 3. Retinitis Pigmentosa

Explanation: Retinopathy of prematurity is complication of prematurity.